In the reconstruction following excision of previously irradiated cheek cancer the flap will be
1. Local tongue
2. Cervical
3. Forehead
4. Pectoralis major myocutaneous

Correct answer: 4. Pectoralis major myocutaneous